The commonest complication of pregnancy after complete treatment of genital tuberculosis is :
1. Abortion
2. Ectopic pregnancy
3. Malpresentation
4. Intra uterine death

Correct answer: 2. Ectopic pregnancy

Explanation: Ectopic pregnancy